Von Hippel Lindau is associated with all except
1. Endo lymphatic sac tumors
2. Hemangioendotheliomas
3. Pheochromocytoma
4. Islet cell tumors

Correct answer: 2. Hemangioendotheliomas

Explanation: Harrison's principles of internal medicine 17th edition *Mutation of 1 allele of VHL mutation leads to retinal angiomas,CNS hemangioblastoma,pheochromocytomas,multicentric clear cell cysts,cysts involving pancreas,liver and kidneys and adenomas of kidney